'Boiled lobster' skin appearance seen in
1. Acetic acid poisoning
2. Boric acid poisoning
3. Alkali poisoning
4. Carbolic acid poisoning

Correct answer: 2. Boric acid poisoning

Explanation: Boric acid dermal: Generalised erythema creating a 'boiled lobster' appearance. There is massive desquamation which is indistinguishable from epidermal necrolysis or staphylococcal scalded skin syndrome in neonates. Ref: FORENSIC MEDICINE AND TOXICOLOGY Dr PC IGNATIUS THIRD EDITION PAGE 416